Abrus percatorius poisoning resembles which poison -
1. Sea snake
2. Cobra
3. Viper
4. Krait

Correct answer: 3. Viper

Explanation: Clinical Features 1. Dermal manifestations: When abrin is injected in skin, there will be inflammation, swelling, ecchymoses and necrosis at the site. Similarly there will be faintness, vertigo, vomiting, dyspnoea and convulsion occurs before death. The symptoms resemble those of viper snakebite. 2. Ocular exposure: Causes redness, chemosis, swelling and conjunctivitis. 3. Oral ingestion: Causes pain in abdomen, vomiting, diarrhoea, bleeding per rectum, cardiac arrhythmias, convulsions and CNS depression. REF;THE SYNOPSIS OF FORENSIC MEDICINE:KS NARAYANA REDDY;28th EDITION;PAGE NO 316